Arborescent marks seen in-
1. Head injury
2. Thermal burns
3. Lightening injury
4. Electric burns

Correct answer: 3. Lightening injury

Explanation: The characteristic finding in lightening bums is filigree burns / arborescent burns / arborescent marking / litchenberg flower.